The most common variant of RCC is
1. Clear cell
2. Papillary
3. Chromophobe
4. Collecting duct

Correct answer: 1. Clear cell

Explanation: Types of renal cell carcinomaFrequency1.Clear cell carcinoma2.Papillary renal cell carcinoma3.Chromophobe renal cell carcinoma4.Collecting duct carcinoma70-80%10-15%5%1% (Ref: Robbins 8/e p965)